Which subtype of Hodgkin lymphoma is associated with maximum incidence of "B" symptoms?
1. Nodular sclerosis type
2. Mixed cellularity type
3. Lymphocyte predominant type
4. Lymphocyte rich type

Correct answer: 2. Mixed cellularity type

Explanation: Mixed Cellularity type: Maximum incidence of B - Symptoms i.e. Fever, Weight loss, Night sweats Bimodal distribution - young & older than 55 years of age B Symptoms are d/t cytokines released by the inflammatory cells Maximum inflammatory cells are seen in Mixed cellularity subtype of HL- More secretion of cytokines- more B symptoms. Overall prognosis is very good.